Retraction of scapula at sternoclavicular joint is done by
1. Serratus anterior
2. Trapezius
3. Subscapularis
4. Supraspinatus

Correct answer: 2. Trapezius

Explanation: Retractors of scapula: - 1. Trapezius 2. Rhomboid major 3. Rhomboid minor Protraction of scapula - done by 1. Pectoralis minor 2. Serratus anterior (damage causes winging of scapula) Subscapularis, supraspinatus along with infraspinatus & teres minor muscles connect scapula to humerus & provide support to glenohumeral joint (Rotator - cuff muscles) Muscle Origin Insertion Innervation Function Sub- scapularis Medial 2/3rd of subscapular fossa Lesser tubercle of humerus Upper & lower sub- scapular nerves (C5, C6, C7). Medial rotation of arm at glenohumeral joint Supraspinatus Medial 2/3rd of supra spinous fossa of scapula & deep fascia that covers muscle Most superior facet on greater tubercle of humerus Supra - scapular nerve (C5, C6) Abduction & stabilization of glenohumeral joint